Gp2b3A inhibitors are all except ?
1. Abciximab
2. Eptifibatide
3. Tirofiban
4. Prasugrel

Correct answer: 4. Prasugrel

Explanation: Ans. is 'd' i.e., Prasugrel Glycoproteins lib / 111a inhibitors The platelet glycoprotein mediates platelet aggregation binding of adhesive proteins such as fibrinogen and Von Willebrand factor. GP IIb / Ina inhibitors, inhibit platelet aggregation by blocking GPIlb / Ma. They are more complete inhibitors than either aspirin or clopidogrel / ticlopidinejj because they inhibit final pathway in platelet aggregation (whether it is mediated by ADP or TXA2), while aspirin blocks only TXA2 pathway and clopidogrel blocks only ADP pathway. Drugs are ? Abciximab - A humanized monoclonal antibody against GP IIb / 111a. Eptifibatide Tirofiban - Competitive inhibitors of GP I1b/IIIa Lamifiban In addition to inhibiting Gp lib / Ilia receptor, abciximab also inhibits ayP3 receptor (which binds vitronectin) and a.132 (a leukocyte integerin). This action is responsible for anti-inflammatory and antiproliferative properties of abciximab.